Gleason's classification used for
1. Carcinoma breast
2. Carcinoma prostate
3. Carcinoma pancreas
4. Carcinoma rectum

Correct answer: 2. Carcinoma prostate

Explanation: (Carcinoma Prostate) (699- Basic robbins 8th)GLEASON - SYSTEM - Gleason grade has proved to correlate reasonably well with both the anatomic stage of prostatic carcinoma and the prognosis* Pancreatic cancer probably arise from precursor lesion (Pan INs) developing by a progressive accumulation of characteristic mutations of oncogenes (eg K-RAS) and tumor suppressor genes (eg P16, P53 and SMA D4)* Breast cancer - the majority are in the BRCA-1 and BRCA2 genes, less commonly in P53, PTEN or ATM genes